Which is not seen in urine in obstructive jaundice:
1. Urobilinogen
2. Direct bilirubin
3. Both
4. None of the above

Correct answer: 1. Urobilinogen

Explanation: Urobilinogen